All of the following predominantly involve the white matter EXCEPT?
1. Alexander disease
2. Canavan disease
3. Neuronal ceroid lipofuscinosis
4. Adrenoleukodystrophy

Correct answer: 3. Neuronal ceroid lipofuscinosis

Explanation: Gray matter diseases White matter diseases Clinical features Seizures, impaired vision, dementia Motor problems Examples Neuronal ceroid lipofuscinosis Biotinidase deficiency Pyridoxine deficiency Mitochondrial disorders Alexander disease Canavan disease Adrenoleukodystrophy Metachromatic leukodystrophy Krabbe disease